Which precipitates at 50°C-60°C but disappears on heating -
1. Heavy chain
2. Light chain
3. Both
4. None of the above

Correct answer: 2. Light chain